Transfer of a portion of the DNA from one bacterium to another by bacteriophage is known as
1. Transformation
2. Mutation
3. Transduction
4. Conjugation

Correct answer: 3. Transduction